Arrange the enzymes used to convert propionyl CoA to glucose in sequence: A. Methyl malonyl CoA racemase B. Succinate Thiokinase C. Methyl malonyl CoA mutase D. Propionyl CoA carboxylase
1. D- B- C-A
2. D- A- C-B
3. A- D- B-C
4. B- A- D-C

Correct answer: 2. D- A- C-B

Explanation: Succinate Thiokinase is enzyme used in TCA.